Prescence erythema nodosum indicates:
1. Tuberculosis
2. sarcoidosis
3. Malignancies
4. all the above

Correct answer: 4. all the above

Explanation: Ans D (all the above) Ref IADVL Dermatology Pg 1203 T 35.4Causes of erythema nodosumBacterial - streptococcal infections,tuberculosis,mycoplasma,LGV,salmonella,leptospirosis,CampylobacterFungal -histoplasmosis,blastomycosis,coccidiodomycosisParasitic-toxoplasmaViral -hep BDrugs- sulfonamide,bromides,iodides,sulfonylureas,OCP.Malignancies-HL,NHL,AMLSarcoidosis, inflammatory bowel disease